True about Schatzki\'s ring:.a) Has skeletal muscleb) Causes dysphagiac) Contains all the layers of the esophagusd) Located at lower esophagus
1. c
2. bd
3. ab
4. ac

Correct answer: 2. bd